The DTPB approach is included under which program?
1. National AIDS control programme
2. National Programme for Control of Blindness
3. National Strategic Plan for TB
4. National malaria elimination programme

Correct answer: 3. National Strategic Plan for TB

Explanation: National Strategic Plan (2017-2025) for TB Elimination The aim of the National Strategic Plan is to achieve elimination of TB by 2025. During plan period, targets for TB are:1. 80% reduction in TB incidence (i.e . reduction from 211 per lakh to 43 per lakh)2. 90% reduction in TB mortality (i.e. reduction from 32 per lakh to 3 per lakh3 . 0% patient having catastrophic expenditure due to TB The requirements for moving towards TB elimination have been integrated into the four strategic pillars of "Detect - Treat - Prevent - Build" (DTPB)